Koeppe's nodules:
1. Are a feature of nongranulomatous iridocyclitis
2. Are situated at the pupillary border
3. Consist of polymorphonuclear cells
4. Do not initiate posterior synechiae formation

Correct answer: 2. Are situated at the pupillary border

Explanation: Ans. Are situated at the pupillary border